If amphotericin B is administered, the patient should be premedicated with:
1. Diphenhydramine
2. Ibuprofen
3. Prednisone
4. Any of the above

Correct answer: 4. Any of the above

Explanation: (Ref: KDT 6/e p783) To prevent the acute reation due to amphotericin B, patient should be premedicated with Hi antihistaminics like diphenhydramine NSAIDs like ibuprofen Steroids like prednisone